aPTT is done for assessing?
1. Warfarin toxicity
2. LMW heparin
3. Heparin toxicity
4. Extrinsic coagulation pathway defect

Correct answer: 3. Heparin toxicity

Explanation: Ref: KD Tripathi, 7th ed. P 618-620PT (Prothrombin Time)aPTT (Activated Partial Thromboplastin Time)* Assess activity of extrinsic coagulation pathway.* Used when on warfarin treatment.* WePT: Warfarin for extrinsic; PT value assessed.* Assess activity of intrinsic coagulation pathway.* Used while on heparin treatment.* HINT: Heparin for intrinsic; aPTT value assessed.